The cistern chyli are situated in
1. Pelvis
2. Thorax
3. Neck
4. Abdomen

Correct answer: 4. Abdomen

Explanation: CISTERNA CHYLI - This is an elongated lymphatic sac, about 5 to 7 cm long. It is situated in front of the first and second lumbar vertebrae,immediately to the right of the abdominal aorta. It is overlapped by the right crus of the diaphragm. Its upper end is continuous with the thoracic duct. It is joined by the right and left lumbar and intestinal lymph trunks. The lumbar trunks arise from the lateral aortic nodes, and bring lymph from the lower limbs, the pelvic wall and viscera, the kidneys, the suprarenal glands, the testes or ovaries, and the deeper parts of the abdominal wall. The intestinal trunks bring lymph from the stomach, the intestine, the pancreas, the spleen, and the anteroinferior part of the liver. The cisterna chyli may be replaced by anastomotic channels between the two lumbar trunks, or by dilatations of the lumbar trunks which join to form the thoracic duct. The intestinal trunks may thus join the cisterna chyli, the lumbar trunks, or the thoracic duct. Ref : B D Chaurasia's Human Anatomy , seventh edition , volume 2 , pg.no. 371